Paralysis of which of the following muscle causes froment's sign?
1. Opponen's pollicis
2. Abductor pollicis
3. Adductor pollicis
4. Adductor hallucis longus

Correct answer: 3. Adductor pollicis

Explanation: Pen test - Median NerveCard test - Ulnar Nerve Egawas test - Ulnar Nerve Froment's sign - Ulnar N.